WHO global target for prevention and control of non communicable diseases by 2025 is to decrease hypertension by
1. 25%
2. 55%
3. 75%
4. 90%

Correct answer: 1. 25%

Explanation: WHO Global action plan for the prevention and Control of Non-communicable Diseases 2013-2020 VISION : A world free of the avoidable burden of non-communicable disease GOAL: To reduce the preventive and avoidable burden of Morbidity, Mortality and disability due to NCD's Voluntary Global Targets 25% relative reduction in the overall Mortality from cardiovascular diseases, cancer, diabetes, or chronic respiratory diseases >= 10% relative reduction in the harmful use of alcohol, as appropriate, within the national context 10% relative reduction in prevalence of insufficient physical activity 30% relative reduction on prevalence of current tobacco use in persons aged 15+ years 25% relative reduction in the prevalence if raised blood pressure or contain the prevelance if raised blood pressure, according to national circumstances Halt the rise in diabetes and obesity >=50% of eligible people receive drug therapy and counselling (including glycemic control) to prevent heart attacks and strokes 80% availability of the affordable basic technologies and essential medicines, including generics, required to treat major NCD's disease in both public and private facilities Ref: Park 25th edition Pgno : 383